In burns management (within 24 hours), which of the following is the medium of choice:
1. Dextrose 5%
2. Normal saline
3. Ringer lactate
4. Isolyte-M

Correct answer: 3. Ringer lactate

Explanation: Ans. C: Ringer lactate There are 3 types of fluid used for fluid resuscitation in burns patient The most common is Ringer's lactate/ Hartmann's solution; some centres use human albumin solution or fresh frozen plasma, and some centres use hypertonic saline